Drug causing agranulocytosis ?
1. Pimozide
2. Clozapine
3. Risperidone
4. Olanzapine

Correct answer: 2. Clozapine

Explanation: Ans. is 'b' i.e., Clozapine Agranulocytosis is a known side effect of clozapine "Because of the risk of agranulocytosis, patients, recieving clozapine must have weekly blood counts for the first 6 months and every 3 weeks thereafter" Side effects of clozapine Agranulocytosis Unstable BP & Tachycardia Worsening of diabetes Seisures Urinary incontinence Hypersalivation (sialorrhoea) Weight gain Sedation